The treatment of metastatic testicular carcinoma is ?
1. Bleomycin, Etoposide, Cisplatin
2. Vinblastine, Etoposide, Cisplatin
3. Doxorubicin, 5-FU mercaptopurine
4. Methotrexate, 5-FU, Vincristine

Correct answer: 1. Bleomycin, Etoposide, Cisplatin

Explanation: Answer is 'a' i.e. Bleomycin, Etoposide, Cisplatin Cisplatin based chemotherapy is used in advanced stage Testicular tumors. Cisplatin is combined with Etoposide & Bleomycin.